Hypoglossal nerve is related to -
1. Digastric triangle
2. Carotid triangle
3. Both
4. None

Correct answer: 3. Both

Explanation: Hypoglossal nerve is a content of both digastric and carotid triangles.